All the following are indicated in the long-term therapy of children with coronary abnormalities in Kawasaki disease EXCEPT:
1. Intravenous immunoglobulins
2. Aspirin
3. Clopidogrel
4. Warfarin

Correct answer: 1. Intravenous immunoglobulins

Explanation: Treatment of Kawasaki Disease Acute stage Intravenous immunoglobulin 2 g/kg over 10-12 hr and Aspirin 80-100 mg/kg/day divided every 6 hr orally until patient is afebrile for at least 48 hr Convalescent stage Aspirin 3-5 mg/kg once daily until 6-8 wk after illness onset if normal coronary findings throughout Long-term therapy for patients with coronary abnormalities Aspirin 3-5 mg/kg once daily orally or Clopidogrel 1 mg/kg/day (maximum: 75 mg/day) Warfarin or low-molecular-weight heparin added for patients at particularly high risk of thrombosis Acute coronary thrombosis Prompt fibrinolytic therapy with tissue plasminogen activator or other thrombolytic agent